Aromatic amino acid is ?
1. Serine
2. Histidine
3. Leucine
4. Tryptophan

Correct answer: 4. Tryptophan

Explanation: Ans:D.)Tryptophan.CLASSIFICATION OF L-a AMINO ACIDS ON THE BASIS OF SIDE CHAINSAliphatic Side Chains : Glycine, Alanine, Valine, Leucine, IsoleucineSide Chains Containing Hydroxyl (OH) Groups :Serine, Threonine, TyrosineSide Chains Containing Sulphur Atoms :Cysteine, Cystine, MethionineSide Chains Containing Acidic Groups or their amides : Aspartic acid, Asparagine, Glutamic acid, GlutamineSide Chains Containing Basic Groups : Arginine, Lysine, HistidineContaining Aromatic Rings : Phenylalanine, Tyrosine, Tryptophan